Which of the following is the only intrinisic muscle of larynx that lies outside the laryngeal framework?
1. Cricothyroid
2. Superior constrictor
3. Cricopharyngeus
4. Lateral cricothyroid

Correct answer: 1. Cricothyroid

Explanation: Cricothyroid muscle is the only intrinsic muscle which is supplied by external laryngeal nerve and lies outside the laryngeal framework